The third head of coracobrachialis is ?
1. Annular ligament
2. Radial collateral ligament
3. Ulnar collateral ligament
4. Ligament of struthers

Correct answer: 4. Ligament of struthers

Explanation: Coracobrachialis in quadrupeds is present in the medial compartment of arm.it consists of 3 heads of which the third head is degenerated.occasionally it is present as the ligament of Struthers between the trochlear spur and medial epicondyle. In humans, the musculocutaneous nerve passes between the two heads. The annular ligament is the other name of radial collateral ligament of the elbow joint. The ulnar collateral ligament is present in the elbow. Reference: Textbook of anatomy upper limb and thorax, Vishram Singh, 2nd edition, page no.94, 131